Which among the following is NOT transmitted transplacentally?
1. Herpes
2. EB virus
3. CMV
4. IgE

Correct answer: 4. IgE

Explanation: Among the class of immunoglobulins only IgG can be transferred through the placenta at around 32 weeks of gestation. Other immunoglobulin classes IgA, IgM, IgE, IgD are usually produced after birth and are not transmitted transplacentally. Increased levels of IgM at birth can indicate an intrauterine infection. CMV is the most common congenital infection. Overall risk of infection is greatest during third trimester(transplacental). CMV disease in infected newborns is characterized by jaundice, hepatosplenomegaly, thrombocytopenia, purpura, microcephaly, periventricular CNS infection, intellectual disability and motor disability. EBV is primarily transmitted by close contact with infectious oropharyngeal secretions, it is also transmitted by blood transfusion and transplacental routes. Transplacental transmission of HSV is rare and is usually associated with primary maternal infection with HSV 2. Ref: Human Nutrition By Catherine Geissler, Shandera W.X., Roig I.L., Mihm Jr. M.C. (2013). Chapter 32. Viral & Rickettsial Infections. In M.A. Papadakis, S.J. McPhee, M.W. Rabow, T.G. Berger (Eds), CURRENT Medical Diagnosis & Treatment 2014.